Keshan disease is due to deficiency of -
1. Selenium
2. Chromium
3. Copper
4. Manganese

Correct answer: 1. Selenium

Explanation: selenium def cause cardiomyopathy in children known as Keshan's disease which is endemic cardiomyopathy Ref Harrison 20th edition pg 99e